All are causes of osteoporosis except -
1. Old age
2. Chronic heparin therapy
3. Hypothyroidism
4. Thyrotoxicosis

Correct answer: 3. Hypothyroidism

Explanation: Osteoporosis 

Osteoporosis is a disease characterized by increased porosity of the skeleton resulting from reduced mineral mass.

Important causes of osteoporosis
Primary
Postmenopausal
Senile
Idiopathic

Secondary
Endocrine disorders

Hyperparathyroidism
Thyrotoxicosis
Hypogonadism
Cushing syndrome
DM type 1
Addison diseases

Neoplasia
Multiple myeloma
Carcinomatosis

Gastrointestinal
Malnutrition and malabsorption
Vit. C, D deficiencies

Important drugs
Heparin
Glucocorticoids
Lithium
Cyclosporin
Gn RH agonists
Anticonvulsants
Alcohol
Others
Osteogenesis imperfecta
Immobilization
Homocystinuria
Rheumatological disease